A 80 years old male presented with lung abscess in left upper zone. Best treatment of modalities is
1. Antibiotics according to organisms
2. Surgical drainage
3. Tube thoracostomy
4. Wait and watch

Correct answer: 1. Antibiotics according to organisms

Explanation: Appropriate high dose antibiotics are started depending on sputum culture like penicillins,3rd generation cephalosporins like cefoperazone,ceftriaxone for 3-6 weeks.Postural drainage for 2-3 hours,3 times daily.80-90% of acute abscesses resolve by medical therapy.Surgical drainage is not commonly done. Reference:SRB's manual of surgery,5th edition,page no:1120,1121